In house with 9 susceptible individuals 1 gets infected and other two get infected after two days what is the secondary attack rate ?
1. 25%
2. 33%
3. 50%
4. 65%

Correct answer: 1. 25%

Explanation: Ans. is 'a' i.e., 25%